Patients suffering from which of the following disease as per ICD/DSM criteria are eligible for disability benefit as per National Trust Act?
1. Schizophrenia
2. Bipolar disorder
3. Dementia
4. Intellectual disability

Correct answer: 4. Intellectual disability

Explanation: The National Trust Act is applicable for autism, cerebral palsy, intellectual disability and multiple disabilities.